Which of the following produces pocks on chorioallantoic membrane of chick embryo -
1. Myxovirus
2. Varicella
3. Herpes simplex
4. Cytomegalovirus

Correct answer: 3. Herpes simplex

Explanation: On chick embryo,CAM small,non necrotic pocks are produced REF:ANANTHA NARAYANAN MICROBIOLOGY NINTH EDITION PAGE.468